Cholera toxin-
1. Increases the levels of intracellular cylic GMP
2. Acts through the receptor the opiates
3. Causes continued activation of adenylate cyclase
4. Inhibits the enzyme phosphodiesterase

Correct answer: 3. Causes continued activation of adenylate cyclase

Explanation: Ans. is 'c' i.e. Causes continued activation of adenylate cyclase